Patient has loss of sensation at angle of mandible and parotid area. Which of the following nerve is most likely to be injured
1. Mandibular nerve
2. Auriculotemporal nerve
3. Lesser occipital nerve
4. Greater auricular nerve

Correct answer: 4. Greater auricular nerve

Explanation: Angle of mandible is supplied by great auricular nerve (C23) Tip of nose is supplied by ophthalmic division of trigeminal and side and alae of nose is supplied by maxillary division of trigeminal nerve
The skin of face is supplied by three division of trigeminal nerve, except for the small area over the angle of mandible and paotied gland which is supplied by great auricular nerve (C2, C3)